Pedophile is having anal intercourse with :
1. Older women
2. Children
3. Homosexual adult
4. Hijra

Correct answer: 2. Children

Explanation: B i.e. Children